The normal range of total serum bilirubin is:
1. 0.2-1.2 mg/100 ml
2. 1.5-1.8 mg/100 ml
3. 2.0-4.0 mg/100 ml
4. Above 7.0 mg/100 ml

Correct answer: 1. 0.2-1.2 mg/100 ml

Explanation: Ans. A.0.2-1.2mg/100mlIncrease in serum bilirubin (2.4mg/dl) leads to jaundice. Bilirubin in serum exists in two forms: Free/unconjugated/indirect bilirubin which is water insoluble. Conjugate/direct bilirubin which is water soluble. Can be estimated by Van den Berg's diazo reaction.